Dawson disease is
1. SSPE
2. Acute disseminated encephalomyelitis
3. Neuromyelitis optica
4. Paralysis agitans

Correct answer: 1. SSPE

Explanation: Answer- A. SSPESSPE is ako known as Dawson encephalitis and measles encephalitis.